A 6 month old child is suffering from patent ductus arteriosus (PDA) with congestive cardiac failure. Ligation of ductus arteriosus was decided for surgical management. The most appropriate inhalational anaesthetic agent of choice with minimal haemodynamic alteration for induction of anaesthesia is –
1. Sevoflurane
2. Isoflurane
3. Enflurane
4. Halothane

Correct answer: 1. Sevoflurane

Explanation: Sevoflurane is the inducing agent of choice in children.